Acute pseudo-obstruction of the colon known as?
1. Sjogren's syndrome
2. Gardner's syndrome
3. Ogilivie's syndrome
4. Peutz-jegher's syndrome

Correct answer: 3. Ogilivie's syndrome

Explanation: Ans. is 'c' i.e., Ogilivie's syndrome